Drug of choice for treatment of malaria due to P. vivax in a 25 year old pregnant female is :
1. Chloroquine
2. Primaquine
3. Sulfadoxine-pyrimethamine
4. Quinine

Correct answer: 1. Chloroquine